For how long does the thyroxine is stored in the thyroid follicle?
1. 2-3 weeks
2. 2-3 days
3. 2-3 months
4. 2-3 years

Correct answer: 3. 2-3 months

Explanation: After synthesis of the  thyroid  hormones, each thyroglobulin  molecule contains up to 30 thyroxine molecules and a few triiodothyronine  molecules. In this form, the thyroid hormones are stored in the follicles in an amount sufficient to supply the body with its normal requirements  of  thyroid hormones for 2 to 3 months.